Endometrial Carcinoma risk in?
1. Sertoli Leydig cell
2. Immature teratoma
3. Gonadoblastoma tumor
4. Granulosa theca cell

Correct answer: 4. Granulosa theca cell

Explanation: Ans. (d) Granulosa theca cell tumor(Ref: R 9th/pg 1032)Granulosa cell tumor*The most common malignant Sex-Cord Stromal Tumors of ovary*The main clinical features depend upon the oestrogenic activity of the tumour Q*The tumor cells may secrete estrogens and cause precocious sexual development in girls or increase the risk for endometrial hyperplasia and carcinoma in women.